Which one of the following categories of dental materials has the highest thermal conductivity?
1. Unfilled acrylic plastics
2. Gold alloys
3. Porcelains
4. Zinc phosphate cements

Correct answer: 2. Gold alloys